Erb's paralysis involves -
1. C5C6
2. C8T1
3. T1T2
4. None

Correct answer: 1. C5C6

Explanation: Ans. is 'a' i.e., C5 C6ERB'S PARALYSISo One region of upper trunk (C? CJ of the brachial plexus is called Erb 'is point where six nerv es meet.Erb's pointo Injury at this point results in Erb's paralysis.o The injury is due to undue separation of the head from the shoulder, which may be seen in : -i) Birth injuryii) Fall on the shoulderiii) During AnesthesiaClinical features of Erb's palsyMuscles paralysed : Mainly biceps brachii, deltoid, branchialis and brachioradialis. Partly supraspinatus, infraspinatus and supinator. Deformity (position of the limb)Arm . Hanges by the side: it is adducted and medially rotatedForearm : Extended and pronatedThe deformity is known as 'policeman's tip hand' or "porter's tip hand'.C) Disability: The following movements are lost.o Abduction and lateral rotation of the arm (shoulder).o Flexion and supination of the forearm.o Biceps and supinator jerks are lost.o Sensations are lost over a small area over the lower part of the deltoid.